Gland of Brunner's is found in:
1. Jejunum
2. Duodenum
3. Ileum
4. All

Correct answer: 2. Duodenum

Explanation: Brunner glands (or Pancreal glands/duodenal glands) are compound tubular submucosal glands found in that portion of the duodenum which is above the hepatopancreatic sphincter.The main function of these glands is to produce a mucus-rich alkaline secretion (containing bicarbonate).